Tiger skin appearance of colonic mucosa is seen in
1. Melanosis coli
2. Ulcerative colitis
3. Environmental enteropathy
4. Carcinoid syndrome

Correct answer: 1. Melanosis coli

Explanation: Melanosis coli is a condition associated with chronic laxative abuse.
Imparts a brown discoloration to colonic mucosa - Tiger skin.